Weight allowed in skeletal traction up to:
1. 5 kg
2. 10 kg
3. 20 kg
4. 30 kg

Correct answer: 3. 20 kg

Explanation: SKIN AND SKELETAL TRACTION Skin traction Skeletal traction Indication Mild to moderate force Moderate to severe force Weight permitted 4-5 kg Up to 20 kg Applied with Buck's traction (conventional skin traction) or Gallow's / Bryant 's traction for fracture femur < 2 yr K wire, Ilizarov's wire Crutchfield's tong Steinmann pin, Denham pin are used for skeletal traction